Visual hallucinations are seen in all except -
1. Delirium
2. Depression
3. Schizophrenia
4. Alcohol withdrawal

Correct answer: 2. Depression

Explanation: Ans. is 'b' i.e., Depression Type of hallucinationCausesAuditoryo Schizophrenia, Organic brain syndrome, Alcoholic hallucinosis manic-depressive illness, Brain lesions - Pontine or temporal lobe lesions.Visualo Organic brain disturbances : - Delirium, delirium tremens, occipital lobe tumors, epilepsy, dementia.o Intoxication (LSD, amphetamines, Alcohol, mescaline), alcohol withdrawal,o Brain lesions1) Unformed visual hallucinations Disorders of occipital lobe or ocular diseases.2) Formed visual hallucinations Disorders of temporal lobe, upper brain stem or thalamuso SchizophreniaOlfactory & gustatoryo Temporal lobe diseases (e.g., complex partial seizure),o Olfactory hallucination may also occur in depression & schizophrenia.Tactileo Schizophreniao Formication Cocaine, alcohol withdrawalNote : Epilepsy and cerebral disorders can cause hallucinations of all modalities depending on the site of lesions.